Who among the following demonstrated that malaria is transmitted by Anopheles mosquito?
1. Robert Koch
2. Louis Pasteur
3. Ronald Ross
4. Walter Reed

Correct answer: 3. Ronald Ross

Explanation: Sir Ronald Ross was a British doctor who received the Nobel Prize for his work on malaria. His discovery of the malarial parasite in the gut of Anopheles mosquito led to the discovery that malaria was transmitted by Anopheles, and laid the foundation for combating the disease. Ref: Park, 21st Edition, Page 6.